Which of the following is the most medial in the femoral triangle?
1. Lymphatics
2. Nerve
3. Artery
4. Vein

Correct answer: 1. Lymphatics

Explanation: The femoral triangle is an area in the inguinal region that is shaped like an upside-down triangle and is bordered by the sartorius muscle, adductor longus muscle and inguinal ligament. The femoral triangle contains the following structures from lateral to medial:Femoral nerve. Originates as a branch of the lumbar plexus. The femoral nerve is not contained within the femoral sheath.Femoral artery. Continuation of the external iliac artery. The femoral artery is located midway between the anterior superior iliac spine and the pubic symphysis.Femoral vein. Continues as the external iliac vein.LymphaticsThe inferior portion of the femoral triangle communicates with a facial canal (adductor canal) that runs deep to the sartorius muscle. Ref: Morton D.A., Foreman K.B., Albertine K.H. (2011). Chapter 36. Thigh. In D.A. Morton, K.B. Foreman, K.H. Albertine (Eds), The Big Picture: Gross Anatomy.